Multiple hypoaesthetic, hypopigmented macules on right lateral forearm with numerous acid fast bacilli is indicative of
1. Tuberculoid leprosy
2. Lepromatous leprosy
3. Indeterminate leprosy
4. Borderline leprosy

Correct answer: 4. Borderline leprosy

Explanation: Ans. d. Borderline leprosy Multiple hypoaesthetic, hypopigmented macules on right lateral forearm with numerous acid-fast bacilli is indicative of borderline lepromatous leprosy. Multiple lesions and numerous AFB bacilli indicate either lepromatous or borderline lesions, and hypoesthesia and hypopigmentation narrows it further to borderline (actually borderline lepromatous), as sensation is normal in lepromatous leprosy